Mc Ewan triangle is formed by all except:
1. Posterosuperior bony canal wall
2. Temporal line
3. Floor of bony canal wall
4. Tangential line drawn to the EAC

Correct answer: 3. Floor of bony canal wall

Explanation: McEwans triangle is bounded by temporal line, postero-superior canal wall and a tangential line to the external auditory canal. This triangle segment overlies mastoid antrum. This is an important anatomical landmark in mastoid surgery.